A patients hears better in noisy surrounding known as
1. Paracusis
2. Diplacusis
3. Hyperacusis
4. Presbycusis

Correct answer: 1. Paracusis

Explanation: A. i.e. (Paracusis) (87- Dhingra 4th) (120 - Maqbool 11th)* Paracusis willisii - an otosclerotic (otospongiosis patients hears better in noisy than quite surroundings* In cochlear lesions patients do not hear at conversational intensity but get irritated by loud sound - RECRUITMENT* Sociacusis - is the hearing impairment because of recreative places like pop music, snow mobiles and carraces etcHyperacusis (Phonophobia) - sounds appears as uncomfortably loud to the patients cause -(i) Stapedius muscle paralysis as after suprastaedial facial nerve paralysis(ii) Congenital syphilis (Hennebert's sign**)PRESBYACUSIS (Senile deafness) - Sensorineural hearing loss associated with physiological aging process in the ear is called presbycusis.* Young man whose voice has not broken is called Puberphonia* White noise - consist of a random mixture of all frequencies